In A-P, oval pelvis is -
1. Android
2. Platypoid
3. Anthropoid
4. Gynecoid

Correct answer: 3. Anthropoid

Explanation: Ans. is 'c' i.e., Anthropoid Anatomical features of pelv is type GvnecoidAnthropoidAndroidPlatypelloid ShapeRoundAntero-posterior ovalTriangularTransversely ovalAnterior and posterior segmentAlmost equal & speciousBoth increased with slight anterior narrowingPosterior segment short & anterior segment narrowBoth reduced-flatInletSacrumSacral angle >90 inclined backwards. Well curved from above down & side to sideSacral angle >90 inclined posteriorly. Long and narrow. Usual curveSacral angle <90 inclined forwards and straightSacral angle >90 inclined posteriorly. Short and straight Sacro-sciatic notchWide & shallowMore wide & shallowNarrow & deepSlight narrow and smallCavitySidewallsStraight & slightly divergentSlightly and divergentConvergentDivergent Ischial spinesNot prominentNot prominentProminentNot prominentOutletPubic archCurvedLong & CurvedLong & straightShort & curvedSubpubic archWide (85 degree)Slightly narrowNarrowVery wide (>90) Bituberous diameterNormalNormal & shortShortWide